An antibioma is
1. An all powerful antibiotic
2. An antibiotic contaminant
3. A malignant tumour caused by an antibiotic
4. An excess mass of fibrous tissue around an abscess, persistently treated by excessive or partly sterilized antibiotic

Correct answer: 4. An excess mass of fibrous tissue around an abscess, persistently treated by excessive or partly sterilized antibiotic